A 23-year old woman desires a combined oral contraceptive for pregnancy protection. A factor that would lead a health professional to recommend an alternative form of contraception is that the woman:
1. Has an evidence of hirsutism
2. Fibroid
3. Has a history of pelvic inflammatory disease
4. Has a history of migraine headache that is well controlled by sumatriptan

Correct answer: 4. Has a history of migraine headache that is well controlled by sumatriptan

Explanation: Migraine attacks can be precipitated by oral contraceptives. All other conditions mentioned in the question is not precipitated by oral contraceptives.